Burn involving one lower limbs in adult correspondence to area:
1. 4.50%
2. 9%
3. 13.50%
4. 18%

Correct answer: 4. 18%

Explanation: Ans: D (18 %) Determination of Burn Size Sabiston 19th/523# Burn size is generally assessed by the so-called rule of nines . In adults, each upper extremity and the head and neck are 9% of TBSA, the lower extremities and the anterior and posterior aspects of the trunk are 18% each, and the perineum and genitalia are assumed to be 1% of TBSA.# Another method of estimating smaller burns is to consider the area of the open hand (including the palm and extended fingers) of the patient to be approximately 1% of TBSA and then transpose that measurement visually onto the wound for a determination of its size. This method is helpful when evaluating splash burns and other bums of mixed distribution. Figure (L & B 26th/389): The Lund and Browder chartAge in year0151015AdultA Head986543B Thigh234444C leg223333 Adult Body% of totalPartBSAArm9%Head9%Neck1%Leg18%Anterior trunk18%Posterior trunk18% Fig: Relative percentage of area affected by growthFig. Estimation of burn using the rule of nine (From American Burn 4s- sociation: Advanced burn life support providers manual, Chicago 2005, American Bum Association)Child Body% of totalPartBSAArm9%Head & Neck18%Leg14%Anterior trunk18%Posterior trunk18%